Which is X-linked dominant condition?
1. phosphate diabetes
2. Hemophilia
3. Gaucher's disease
4. Cystic fibrosis

Correct answer: 1. phosphate diabetes

Explanation: familial hypophosphatemia is inherited in an X-linked dominant manner, however variant forms may be inherited in an autosomal dominant or recessive manner. In familial hypophosphatemia, symptoms occur, at least in part, because of an impaired ability of the kidneys to retain phosphate Ref Robbins 9/e pg 171